During application of the cup in Ventouse, 'knob' of the cup points towards:
1. Brow
2. Chin
3. Neck
4. Occiput

Correct answer: 4. Occiput

Explanation: Ans. D i.e. Occiput Ventouse Indications As an alternative to forceps operation. Deep transverse arrest with adequate pelvis Delay in descent of head of the second baby of twins Delay in first stage due to uterine inertia or primary cervical dystocia Contraindications Prematurity Head not engaged Fetal distress Pelvic contraction Transverse lie After coming head of breech Partially dilated cervix Congenital anomalies Dead fetus. Complications Cephalhematoma Subaponeurotic or subgaleal haemorrhage Chignon Retinal hemorrhage